All the following are complications of streptokinase, except
1. Joint pain
2. Intracranial bleed
3. Anaphylaxis
4. Hypotension

Correct answer: 1. Joint pain

Explanation: Ref Harrison 19 th ed pg 1605 Allergic reactions to streptokinase occur in ~2% of patients who receive it. While a minor degree of hypotension occurs in 4-10% of patients given this agent, marked hypotension occurs, although rarely, in association with severe allergic reactions.